True regarding Clozapine
1. Traditional antipsychotic
2. Can cause agranulocytosis
3. Given parenterally
4. Not useful in resistent schizophrenia

Correct answer: 2. Can cause agranulocytosis

Explanation: (B) Can cause agranulocytosis # Clozapine, another atypical antipsychotic, is available in the Indian market.> Clinical trials have shown that clozapine is effective in about 30% of patients who had no beneficial response to traditional antipsychotics. However, as it can cause agranulocytosis and seizures as side-effects, it should be used with caution.